External anal sphincter is innervated by:
1. S2, S3, S4
2. S2, S3
3. L5, S1
4. L2, L3

Correct answer: 1. S2, S3, S4

Explanation: Ans. a. S2, S3, S4